A male patient with bipolar disorder is controlled on medications. Symptoms of mania start to appear whenever he himself tapers down the drugs. What type of treatment can improve compliance in this patient?
1. Psychoeducation
2. CBT
3. Supportive psychotherapy
4. Insight oriented psychotherapy

Correct answer: 1. Psychoeducation

Explanation: Psychoeducation is a form of psychological intervention in which patient as well as family members are educated about various aspects of disease and its treatment. It involves discussion about the symptoms, the need for medications as well as maintenance of regular lifestyle. Psychoeducation decreases the chances of relapse in bipolar disorder.